Sacrotuberous ligament calcification is a characteristic feature of?
1. Alkaptonuria
2. Osteopetrosis
3. Fluorosis
4. Pseudogout

Correct answer: 3. Fluorosis

Explanation: - Calcification of sacrotuberous ligament,interosseous ligaments is characteristic of Fluorosis